Negative intrapleural pressure is due to -
1. Uniform distribution of surfactant over alveoli
2. Negative intraalveolar pressure
3. Absorption by lymphatics
4. Presence of cartilage in the upper airway

Correct answer: 3. Absorption by lymphatics

Explanation: The intrapleural pressure becomes more negative at the end of inspiration and less negative at expiration. It ranges between -3 and -6 mmHg. 
The elasticity of lung and rib cage causes it to recoil and thus creating the negative pressure. 
The lymphatic drainage of the pleural fluid also creates a negative pressure.